At what period, Frequency is present in pregnancy:
1. Before 16 weeks
2. After 18 weeks
3. After 20 weeks
4. After 24 weeks

Correct answer: 1. Before 16 weeks

Explanation: Before 16 weeks